The commonest malignant tumor of the orbit in the 19A decade (children) is
1. Retinoblastoma
2. Neuroblastoma
3. Rhabdomyosarcoma
4. Chloroma (AML) and ALL

Correct answer: 3. Rhabdomyosarcoma

Explanation: C i.e. Rhabdomyosarcoma